Testosterone inhibitor is-
1. Spironolactone
2. Clomiphene
3. Bremelanotide
4. Sildenafil

Correct answer: 1. Spironolactone

Explanation: Ans. is 'a' i.e., Spironolactone